Which is the most prominent spinous process ?
1. T1
2. C7
3. C6
4. L5

Correct answer: 2. C7

Explanation: The C7 vertebra is also known as the vertebra prominens because of its long spinous process.